Chronic renal failure is often complicated by all of the following except -
1. Myopathy
2. Haemolytic-uraemic syndrome
3. Peripheral neuropathy
4. Ectopic calcification

Correct answer: 2. Haemolytic-uraemic syndrome